ABO blood group is an example of?
1. Co-dominance
2. AD
3. AR
4. Mitochondrial inheritance

Correct answer: 1. Co-dominance

Explanation: a. Co-dominance(Ref: Nelson's 20/e p, Ghai 8/e p 641)Codominance--When both alleles of a gene pair are fully expressed in a heterozygote, e.g. blood group antigens.